The drug affecting the trabecular outflow in Glaucoma
1. Timolol
2. Acetazolamide
3. Pilocarpine
4. Brimonidine

Correct answer: 3. Pilocarpine

Explanation: Miotics like pilocarpine reduce intraocular tension by increasing the trabecular outflowBeta-blockers reduce production of aqueous humor by acting on the ciliary bodyBrimonidine and prostaglandin analogs increase uveoscleral outflow Ref: Katzung 12th ed. pg: 161